Enzymes of glycolysis are found in:
1. Cytosol
2. Cell membrane
3. Mitochondria
4. Ribososmes

Correct answer: 1. Cytosol

Explanation: All of the enzymes of glycolysis are found in the cytosol. Ref: Harper 28th edition, chapter 18.